In case of Myopia, the following is seen:
1. Large optic disc
2. Small optic disc
3. Normal eye
4. None of above

Correct answer: 1. Large optic disc

Explanation: Ans. (a) Large optic discRef: A.K. Khurana 6th ed. /38MYOPIA* Also known as short-sightedness.* It is a type of refractive error in which parallel rays of light coming from infinity are focused in front of the retina when accommodation is at rest.* Myopic patients have long eyeballs.Fundus Examination of Myopia* The optic disc appears large and pale and at its temporal edge a characteristic myopic crescent is present* Degenerative changes in retina and choroid are common in progressive myopia* Posterior staphyloma at posterior pole may be apparent due to ectasia of the sclera. Degenerative changes in vitreous include liquefaction, vitreous opacities, and posterior vitreous detachment (PVD).